Which among the following is/are example of Serial extraction:
1. Dewel's method.
2. Tweed's method.
3. Nance method.
4. All of the above.

Correct answer: 4. All of the above.